The local district magistrate's court has asked your opinion regarding a paternity dispute. The alleged father is B+ and the mother is AB+. Which of the following groups would not be possible in their offspring?
1. A
2. AB
3. B
4. O

Correct answer: 4. O

Explanation: The possible combinations are given below: O x O - O O x A - A,O O x B - B,O O x AB - A,B A x A - A,O B x B - B,O A x B - A,B,AB,O AB x AB - A,B,AB Ref: Textbook of Forensic Medicine and Toxicology by V.V Pillay, 15th Edition, Page 394.